Drugs commonly used in pre-anaesthetic medication are all except
1. Diazepam
2. Scopolamine
3. Morphine
4. Succinyl choline

Correct answer: 4. Succinyl choline

Explanation: Succinylcholine is a neuro muscular blocker used during induction of General anaesthesia. Drugs used in premedication include benzodiazepines like midazolam, diazepam; opioids like morphine, fentanyl; anticholinergics like atropine, scopolamine, glycopyrrolate.